Which organism causes haemolytic uremic syndrome:
1. Neisseria
2. Salmonella
3. Pseudomonas
4. E. Coli

Correct answer: 4. E. Coli

Explanation: Ans. (d) E. ColiRef: Microbiology by Ananthanarayan and Paniker 8th ed. /276-77* Hemoltic uremic syndrome (HUS) is a type 3 hypersensitivity reaction associated with small vessel vasculitis.* Organisms causing HUS is E.Coli (particularly EHEC) and shigella dysentriae.